Brain tumor is associated with A/E:
1. Tuberous sclerosis
2. Von hippel landau syndrome
3. Neurofibromatosis
4. Sturge Weber syndrome

Correct answer: 4. Sturge Weber syndrome

Explanation: Answer is D (Sturge Weber Syndrome): Sturge Weber Syndrome is not associated with brain tumors Sturge Weber syndrome may be associated with leptomeningeal angiomatosis but it is not associated with an increased risk of developing true brain tumors. Sturge Weber Syndrome Port wine nevus over the trigeminal distribution Ipsilateral leptomeningial angiomatosis Contralateral hemiparesis Seizures Intellectual Disability Congenital Glaucoma